Supra omohyoid dissection of lymph nodes is called as
1. Selective neck dissection
2. Modified radical neck dissection
3. Radical neck dissection
4. Functional neck dissection

Correct answer: 1. Selective neck dissection

Explanation: Supra omohyoid is removing level I to IV lymph nodes. It is a selective LN dissetion.